Which of the following is locking muscle for knee ?
1. Popliteus
2. Hamstring
3. Quadriceps
4. None

Correct answer: 3. Quadriceps

Explanation: Ans. is 'c' i.e., Quadriceps Locking muscle --Quadriceps femoris (especially vastus medialis part).Unlocking muscle --Politeus.